Viruses can be isolated from clinical samples by cultivation in the following, except
1. Animals
2. Embryonated eggs
3. Tissue culture
4. Chemically defined media

Correct answer: 4. Chemically defined media